BPF (Brazilian purpuric fever) is caused by:
1. H.influenzae biotype aegyptius
2. V. cholerae
3. Salmonella
4. None of the above

Correct answer: 1. H.influenzae biotype aegyptius

Explanation: H. aegyptius:
→ Identical to non-capsulated H.influenza, now named as H.influenza biotype aegyptius.
→ Causes highly contagious form of conjunctivitis (PINK EYE) and Brazilian purpuric fever. 
→ BPF (Brazilian purpuric fever): Conjunctivitis proceeding to fulminant septicemia in infants and children with high fatality.